Labia minora is homologus to:(MCI pattern Question)
1. Penis
2. Scrotum
3. Penile urethra
4. Corpus cavernosa

Correct answer: 3. Penile urethra

Explanation: Ans. is c, i.e. Penile urethraHomologous organs in males and femalesMaleFemalePenisClitorisScrotumLabia majoraPenile urethraLabia minoraProstate glandsSkene glands or paraurethral glandsCowpers glandsBartholins glands